Cervical part of esophagus all are true except?
1. Arise at cricoid level
2. Site of portosystemic anastomosis
3. Foreign body obstruction common at this level
4. Striated muscle fibres positive

Correct answer: 2. Site of portosystemic anastomosis

Explanation: Portosystemic (Porto caval) anastomosis is seen in lower part (abdominal part) of esophagus.Cervical esophagus begins at lower border of cricoid cartilage (at C6 vertebral level) as a downward continuation of pharynx.Muscularis externa of cervical esophagus contains only skeletal muscle (striated muscle) fibers.Foreign body obstruction is common in this part of esophagus.